Sulfonylureas act by:
1. Decreasing glucagon secretion from pancreas
2. Decreasing insulin secretion from pancreas
3. Increasing gluconeogenesis
4. Increasing insulin secretion from pancreas

Correct answer: 4. Increasing insulin secretion from pancreas

Explanation: Ans. (D) Increasing insulin secretion from pancreas(Ref: KDT 8/e p294)Sulfonylureas stimulate the release of insulin by the beta cells of the islets of Langerhans by blocking K+ channels. Glucagon secretion is also reduced by sulfonylureas, but it is a minor action.